Tadpole cells comma shaped cells on histopathology are seen in -
1. Trichoepithelioma
2. Spideroma
3. Rhabdomyosarcoma
4. Histiocytoma

Correct answer: 3. Rhabdomyosarcoma

Explanation: Ans. is 'c' i.e., Rhabdomyosarcoma Histology of rhabdomvosarcoma o The diagnostic cell of rhabdomyosarcoma is rhabdomyoblast. o Rhabdomyoblast contains eccentric eosinophilic granular cytoplasm rich in thick and thin filaments. o The rhabdomyoblasts may be ? i) Round Elongated Tadpole or Strap cells. o It has three variants i) Embryonal Alveolar iii) Pleomorphic o Rhabdomyoblasts are positive for desmin, MYOD1 and Myogenin.